Which of these viruses has RNA for both its genome and replicative intermediate?
1. Cytomegalovirus
2. Hepadnavirus
3. Retrovirus
4. Togavirus

Correct answer: 4. Togavirus

Explanation: All single-stranded RNA viruses (except retroviruses) have RNA genome and an RNA intermediate, which is formed during replication. Togavirus is single-stranded RNA virus